Which structures passes though foramen of langer?
1. Inguinal canal
2. Tail of spence
3. CN V3
4. CN VII

Correct answer: 2. Tail of spence

Explanation: Ans. B Tail of SpenceRef: Kulkarni Clinical Anatomy, 2nd ed. pg. 182* The axillary tail of spence of breast pierces the deep fascia through the foramen of langer and comes to lie in the axilla.